Ecstasy is?
1. MDMA
2. MDHA
3. EDHA
4. MDAM

Correct answer: 1. MDMA

Explanation: Heroine : Smack, Junk, Brown Sugar, Tar Heroine + cocaine: Speed Ball Amphetamine: Superman's Drug, Speed Crystal MDMA: Ecstasy, Rave Drug, Club Drug, Hug drug MDMA + marijuana:Love boat LSD: Battery Acid, Golden Dragon, Heavenly Blue, Hippie Ketamine; Super K, Purple Drug Morphine: Miss Emma, God's Machine